Controlled ARM is done:
1. IUD
2. Maternal HIV infection
3. Polyhydramnios
4. Genital herpes

Correct answer: 3. Polyhydramnios

Explanation: Ans. is c, i.e. Polyhydramnios:In case of polyhydramnios to prevent abruptio from sudden rupturing of membranes, controlled ARM is done.